All are true Anti phospholipid Syndrome EXCEPT
1. Associated with SLE (343, 636- Dutta 6th)
2. Thrombosis of uteroplacental vessels
3. Recurrent placental haemorrhage
4. Give false positive results in syphilis

Correct answer: 3. Recurrent placental haemorrhage

Explanation: (Recurrent placental hemorrhage) (343, 6360 Dutta 6th)* There is no bleeding defect unless a second disorder such as thrombocytopenia, hypoprothrombinemia or a prolonged bleeding time is presentANTI- PHOSPHOLIPID SYNDROMEIn SLE two antiphospholipid antibodies eg Lupus anti coagulant and anticardiolipid are important. These antibodies act by dysregulation of coagulation pathways. This causes thrombosis of uteroplacental vessels and poor placental perfusionCommon obstetric complications1. Recurrent fetal loss2. 1UGR3. Pregnancy induced hypertension4. Placental abruption5. Recurrent thrombotic events6. ThrombocytopeniaPathological changes like placental vascular atherosis, intervillous thrombosis and decidual vasculopthy with fibrinoid necrosis leads to inadequate maternal blood supply to fetus* An anti phospholipid, the lupus anticoagulant will cause false positive VDRL test for syphilis